A 5-day-old neonate is brought to the pediatric ER with complaints of shallow breathing The child was born at 39 weeks gestation spontaneous vaginal delivery outside the hospital. There was no antenatal care received. Parents told that the child had a normal suck and cry after birth. O/E, Generalized hypertonia Generalized rigidity Occasional spasms Foul smelling brown material around the umbilicus Microbiological examination revealed, What should be the case load of the above condition for it to be called eliminated: -
1. <1 case/ 1000 live births
2. <10 cases/ 1000 live births
3. <100 cases/ 10000 live births
4. <1000 cases/ 100000 live births

Correct answer: 1. <1 case/ 1000 live births

Explanation: This is a case of neonatal tetanus. The gram stain shows the classical drum stick appearance of the C tetani bacteria. Occurs due to poor umbilical cord care. Caused by neurotoxin of C tetani. Child is normal in first 2 days of birth with normal suck and cry. The child loses this ability between days 3 and 28. Child becomes rigid and has spasms. Tetanus toxin block inhibitory interneuron discharge. India eliminated this in 2015 The case load should be <1/ 1000 live births for it to be called eliminated.